A 52-year-old woman loses her right kidney following an automobile accident. A CT scan of the abdomen 2 years later shows marked enlargement of the left kidney. The renal enlargement is an example of which of the following adaptations?
1. Atrophy
2. Dysplasia
3. Hyperplasia
4. Hypertrophy

Correct answer: 4. Hypertrophy

Explanation: Hypertrophy Response to trophic signals or increased functional demand and is commonly a normal process. The molecular basis of hypertrophy reflects the increased expression of growth-promoting genes (proto-oncogenes) such as myc and ras. -Hyperplasia (choice C) of renal tubular cells may occur, but an enlargement of the kidney in this patient is best referred to as hypertrophy (i.e., increased organ size and function). Diagnosis: Hypertrophy